True regarding mallet finger is :
1. Avulsion of tendon at the base of the middle phalanx
2. Avulsion of extensor tendon at the base of the distal phalanx
3. Fracture of distal phalanx
4. Fracture of the proximal phalanx

Correct answer: 2. Avulsion of extensor tendon at the base of the distal phalanx

Explanation: Mallet finger is avulsion of extensor tendon from distal phalanx of a finger.